Which reaction uses propionic acid ?
1. Glycolysis
2. Gluconeogenesis
3. Glycogenolysis
4. None

Correct answer: 2. Gluconeogenesis

Explanation: Ans. is 'b' i.e., Gluconeogenesis